Best management of a hemodynamically stable patient with ECG showing Broad QRS complex with antidromic tachycardia is?
1. Oral Verapamil
2. Oral Beta-blocker
3. Cardioversion
4. Intravenous Procainamide

Correct answer: 4. Intravenous Procainamide

Explanation: Option A: Verapamil can't be given in WPW syndrome, it will block the A-V Node & will be more conduction through Bundal of kent & it'll trigger Antidromic conduction. Option B: Beta Blocker = B not use in emergency. Even if will give iv B , it'll only control HR but it'll not control fast conduction which is occurring in bundle of kent. Option D: IV procainamide, it will reduce conduction speed of bundle of Kent. Option C: Cardioversion= we don't give cardioversion to hemodynamic stable person.